Cutis anserina is seen in:
1. Drowning
2. Suffocation
3. Lust murder
4. Electrocution

Correct answer: 1. Drowning

Explanation: Drowning